Compulsion to excessive drinking is termed as:
1. Kleptomania
2. Oniomania
3. Trichotillomania
4. Dipsomania

Correct answer: 4. Dipsomania

Explanation: Ans. (D). DipsomaniaKleptomania - An urge to steal small items that usually have very little value.Pyromania - When a person sets fires for enjoyment and pleasure.Pathological Gambling - The inability to stop gambling.Intermittent Explosive Disorder - Outbursts of anger or extreme temper tantrums.Trichotillomania - Hair loss caused by an impulse to twirl and pull hair.Dipsomania - An urge to drink continuously.Oniomania-Compulsive buyingPyromania - Urge to set things on fire.